Who postulated that water fluoridation is associated with reduced tooth decay?
1. Dean
2. Murray
3. Horowitz
4. Knutson

Correct answer: 1. Dean